Greisinger's sign is suggestive of-
1. Acute mastoiditis with lateral sinus thrombosis
2. Maxillary cancer with spread to nasal cavity
3. Rhinosporidiosis
4. Jugular vein thrombosis

Correct answer: 1. Acute mastoiditis with lateral sinus thrombosis

Explanation: Ans. is 'a' i.e., Acute mastoiditis with lateral sinus thrombosis Signs of lateral sinus thrombosis (sigmoid sinus thrombosis)o Griesinger's sign:- odema over the posterior part of mastoid due to thrombosis of mastoid emissary veinso Papilloedemao Tobey-Ayer testo Crowe-Beck test:- Pressure on jugular vein of healthy side produces engorgement of retinal veins. Pressure on affected side does not produce such changeo Tenderness along jugular vein